Parenteral direct thrombin inhibitor?
1. Ximelagatran
2. Dabigatran
3. Argatroban
4. Heparin

Correct answer: 3. Argatroban

Explanation: Ans. is 'c' i.e., Argatroban